Respiratory bronchiole proceed into ?
1. Terminal bronchiole
2. Bronchi
3. Tertiary bronchiole
4. Alveolar duct

Correct answer: 4. Alveolar duct

Explanation: Respiratory tract anatomyNasal cavity, oral cavity, plarynx and larynx forms upper respiratory tract. Larynx opens into lower respiratory tract which starts from Trachea. Trachea bifurfactes into bronchi (principal bronchi). Progressive branching of bronchi forms bronchioles. Further branching of bronchioles leads to terminal bronchioles. Terminal bronchiole emnate into respiratory bronchioles. Respiratory bronchioles proceed into the alveolar ducts, wich immediately branch into alveolar sacs (alveoli).